Injury that comes under sec 320 IPC
1. Abrasion over face
2. 'Nasal bone fracture
3. Epistaxis
4. Lacerated wound over scalp

Correct answer: 2. 'Nasal bone fracture

Explanation: B i.e. Nasal bone fracture